A healthy baby will start turning head to sound by ....... of age:
1. 3 - 4 months
2. 7 - 8 months
3. 9 months
4. 12 months

Correct answer: 1. 3 - 4 months

Explanation: Ans. A. 3 - 4 monthsNewborns respond to sounds by startle, blink, cry, quieting, or change in ongoing activity. By 3 -4 months, the child turns head to sound. Hearing may be checked by producing sound 1 1/2 feet away from the ear (out of field of vision), and a pattern of evolving maturity of hearing can be observed, At -6 months of age the child turns head to one side and then downwards if a sound is made below the level of ears. By the age of 10 months the child directly looks at the source of sound diagonally.